Coarctation of aorta may be associated with all of the following except :
1. Bicuspid aortic valve
2. Turner's syndrome
3. Renal artery stenosis
4. PDA

Correct answer: 3. Renal artery stenosis

Explanation: Answer is C (Renal artery stenosis) Renal artery stenosis is not associated with any form of congenital heart disease. In young it is usually a result of fibromuscular dysplasia and in elderly due to atheromatous plaques secondary to hypertension and diabetes. Turner's syndrome is associated with coarctation of aorta and bicuspid valve. Most common associated congenital cardiac anomaly with coarctation of aorta is bicuspid aortic valve PDA may be associated.